Restriction endonuclease cleaves
1. Double stranded DNA
2. Single stranded DNA
3. Single stranded RNA
4. Polypeptide

Correct answer: 1. Double stranded DNA

Explanation: Restriction endonuclease Cleaves double stranded DNA at palindromic sites/ restriction sites 5' --AAGCTT-- 3'3' --TTCGAA-- 5' A palindromic sequence is a sequence which reads the same backwards as forwards. Found in bacteria Can create sticky ends or blunt ends Restriction endonuclease Sticky ends Blunt ends single-stranded overhangs no overhangs Example - EcoRI Example -SmaI